During soldering, the solidus temperature of the filler material should be
1. Greater than the substrate material
2. Lesser than the substrate material
3. Equal to the substrate material
4. Temperature not relevant

Correct answer: 2. Lesser than the substrate material